Periodontal fibers which are most resistant to forces along the long axis are:
1. Apical
2. Oblique
3. Transseptal
4. Alveolar crest

Correct answer: 2. Oblique